Which of the following fluoroquinolone has broadest spectrum activity against bacteria ?
1. Ciprofloxacin
2. Norfloxacin
3. Trovafloxacin
4. Nalidixic acid

Correct answer: 3. Trovafloxacin

Explanation: Ans. is'c'i.e., TrovafloxacinFouh generation quinolones/fluoroquinolones have broadest spectrum.These are trovafloxacin, fleroxacin, gemifloxacin, prulifloxacin, sitafloxacin and clinafloxacin.